Which of the following conditions are associated with pauci-immune crescenteric glomerulonephritis?
1. Henoch-schonlein nephritis
2. Lupus nephritis
3. Microscopic polyangitis
4. Alport's syndrome

Correct answer: 3. Microscopic polyangitis

Explanation: Ans. is 'c' i.e., Microscopic polyangitis